A 33-year-old male is admitted to the hospital after a violent, multiple car collision. His blood pressure is 89/39 mm Hg, and a central venous line is ordered to be placed. Which of the following structures is used as a landmark to place the tip of the catheter of the central venous line?
1. Carina
2. Subclavian artery
3. Superior vena cava
4. Right atrium

Correct answer: 1. Carina

Explanation: The carina can easily be seen in radiograph. The carina is at the level of T4-5 (plane associated with the sternal angle of Louis). This landmark is commonly used to guide the placement of a central venous line.